ANOVA is -
1. Parametric test
2. Non-parametric test
3. Qualitative test
4. None

Correct answer: 1. Parametric test

Explanation: Ans. is 'a' i.e., Parametric test o ANOVA (Analysis of variance) is a parametric test for quantitative data.